Armoured endotracheal tube is used in surgeries all except
1. Neurosurgery
2. Cleft lip surgery
3. Spine surgery
4. Neck surgery

Correct answer: 2. Cleft lip surgery

Explanation: RAE tubes are used in cleft lip and palate surgery.